Centile devides data into
1. 100 equal parts
2. 10 equal parts
3. 5 equal parts
4. 20 equal parts

Correct answer: 1. 100 equal parts

Explanation: Division of distribution :
 



 
No of Intercept
Divides into


Testile
2
3 equal parts


Quartile
3
4 equal parts


Pentile
4
5 equal parts


Octile
7
8 equal parts


Centile
99
100 equal parts